Well known Zadek's procedure is:
1. Resection of part of nail with nail bed
2. Resection of complete nail with part of nail bed
3. Injection of phenol at base of toe nail
4. Wide excisions of nail

Correct answer: 2. Resection of complete nail with part of nail bed

Explanation: Ans. (b) Resection of complete nail with part of nail bed* Zadek's procedure is the surgical correction of ingrowing toe nail.* Removal of complete nail with part of nail bed.